Corpralalia is seen in:
1. Delirium
2. Alcoholic intoxication
3. Mania
4. Tourette's syndrome

Correct answer: 4. Tourette's syndrome

Explanation: D. i.e. Tourette Syndrome.